The sixth complication of diabetes mellitus is
1. Retinopathy
2. Rental failure
3. Ischemic heart diseases
4. Periodontitis

Correct answer: 4. Periodontitis